'Snow ball' opacities near the ora serrata are pathognomonic of
1. Diabetic retinopathy
2. Pars planitis
3. Anterior choroiditis
4. Fungal endophthalmitis

Correct answer: 2. Pars planitis

Explanation: INTERMEDIATE UVEITIS (PARS PLANITIS) It is inflammation of pars plana part of ciliary body and most peripheral part of the retina. Etiology: It is an idiopathic disease usually affecting both eyes (80 percent) of children and young adults. Clinical features Symptoms: Most of the patients present with history of floaters. Some patients may come with defective vision due to associated cystoid macular oedema. Signs: Slit-lamp examination may show: mild aqueous flare, and fine KPs at the back of cornea. Anterior vitreous may show cells. Fundus examination with indirect ophthalmoscope reveals the whitish exudates present near the ora serrata in the inferior quadrant. These typical exudates are referred as snow ball opacities. These may coalesce to form a grey white plaque called snow banking. Ref:- A K KHURANA; pg num:-161